An endodontic reamer is least likely to fracture when inserted in a:
1. Dry, clean canal
2. Wet, clean canal
3. Wet, debris laden canal
4. Dry, debris laden canal

Correct answer: 2. Wet, clean canal

Explanation: Irrigants perform physical and biologic functions. Dentin shavings get removed from canals by irrigation.
Thus, they do not get packed at the apex of root canal.
Instruments do not work properly in dry canals. 
Their efficiency increases by use in wet canals. 
Instruments are less likely to break when canal walls are lubricated with irrigation.